DNA fingerprinting was discovered by:
1. Southern
2. Galion
3. Crick
4. Jeffery

Correct answer: 4. Jeffery

Explanation: Ans. Jeffery